High risk pregnancy includes all except :
1. Twins
2. 25 years old primi
3. Hydramnios
4. Previous LSCS

Correct answer: 2. 25 years old primi

Explanation: GROUP A GROUP B GROUP C GROUP D UNIVERSAL REPRODUCTIVE HISTORY PRESENT OBSTETRIC HISTORY INTRAPARTUM FACTORS Maternal age >35 or<17 primiparity grand multiparity height <140cm low socioeconomy long period of infertility recurrent miscarriage previous IUD,Stillbirth previous preterm instrumental delivery previous CS Third stage complications birth weight less than 2.5kg Rh or ABO isoimmunisation unbooked patient medical disorders hypertensive ectopic or hydatidiform mole IUGR Rh isoimmunisation APH Multiple pregnancy hydramnios malpresentations prolonged pregnancy obesity PROM Cord complications fetal distress prolonged labour PPH retained placenta unskilled attendant TEXTBOOK OF GYNECOLOGY,SHEILA BALAKRISHNAN,Pg no:586,2nd edition